The significance of difference between proportions can also be tested by-
1. .'t' test
2. Chi square test
3. ANOVA
4. Correlation and regression

Correct answer: 2. Chi square test

Explanation: * Chi-Square test offers a method of testing the significance of difference between the proportions. * Its advantage lies in the fact that it can also be used when more than two groups are to be compared. * By using this test, we can find out if the difference between two proportions or ratios has occurred by chance. The steps involved are- 1) Testing the null hypothesis. 2) Applying chi-square test. 3) Calculating the degree of freedom. 4) Comparing with probability tables.